Orthotoluidine Arsenite test determines -
1. Free residual chlorine
2. Combined chlorine
3. Free and combined chlorine separately
4. Free and combined chlorine together

Correct answer: 3. Free and combined chlorine separately

Explanation: Ortho-toluidine test is used to determine both free and residual chlorine with speed and accuracy. It is done using ortho-toluidine dissolved in 10 per cent solution of hydrochloric acid. When added to water containing chlorine it turns yellow and its intensity varies with the concentration of the gas. Ortho-toluidine Arsenite test is used to determine free and residual chlorine separately. (PARK TB (25th edition pg 775)